Which of the following vitamins can be used for treatment of hypercholesterolemia?
1. Thiamine
2. Biotin
3. Pyridoxine
4. Nicotinic acid

Correct answer: 4. Nicotinic acid

Explanation: ANTI-DYSLIPIDEMIC AGENTS Group Mechanism Drugs Special points Statins HMG CoA reductase inhibition Atorvastatin, Rosuvastatin Max LDL lowering capacity Fibrates Stimulation of PPAR-alpha Clofibrate Fenofibrate Gemfibrozil Max TG lowering capacity Bile acid sequestrants Binds bile acids in GIT Cholestyramine, Colestipol, Cholesevalam Safe in pregnancy and children Ezetimibe Inhibit intestinal cholesterol absorption Ezetimibe Given with statins Nicotinic acid Inhibit lipase Niacin Max HDL increasing capacity